Aldolase is a/an
1. Transperase
2. Isomerase
3. Lyase
4. Reductase

Correct answer: 3. Lyase

Explanation: Class 4: Lyases These enzymes can remove groups from substrates or break bonds by mechanisms other than hydrolysis. For example, Fructose-1,6-bisphosphate -------- Glyceraldehyde-3-phosphate +dihydroxy acetone phosphate The enzyme is AldolaseRef: DM Vasudevan, Page no: 41